Primary carcinoma body of the uterus may be of following types except:
1. Adenocarcinoma
2. Adenosquamous carcinoma
3. Clear cell type
4. Large cell keratinising type

Correct answer: 4. Large cell keratinising type

Explanation: Microscopically, endometrial carcinoma may be of following varities: —

Adenocarcinoma (endometrioid 80%).
Adenocarcinoma with squamous elements.
Papillary serous carcinoma (5-10%) (virulent).
Mucinous adenocarcinoma (5%).
Clear cell adenocarcinoma (5%).
Secretory carcinoma (1%).
Squamous cell carcinoma.
Mixed carcinoma.